Secondary action of Superior Rectus Muscle is ?
1. Abduction & extorsion
2. Adduction & extorsion
3. Adduction & intorsion
4. Abduction & intorsion

Correct answer: 3. Adduction & intorsion

Explanation: Actions of extraocular muscles : Muscle Primary Secondary Tertiary action action action LR Abduction -- -- SR Elevation Intorsion Adduction IR Depression Extorsion Adduction SO Intorsion Depression Abduction IO Extorsion Elevation Abduction Ref;A.K.Khurana ; 6th edition; Page no:339